Temperature change (Arrows) in Graph of Menstrual cycle is due to
1. LH
2. FSH
3. Estrogen
4. Progesterone

Correct answer: 4. Progesterone

Explanation: Progesterone (Description: Temperature increase of 0.5 degrees Post Ovulation is due to Progesterone)